All of these secrete hormone, except:
1. Granulosa cell tumor
2. Dysgerminoma
3. Hilus cell tumor
4. Theca cell tumor

Correct answer: 2. Dysgerminoma